Which is true about Haemophilia A?
1. Increased BT
2. Increased PT
3. Increased PTT
4. Increased platelet count

Correct answer: 3. Increased PTT

Explanation: PTT is increased in haemophilia A.